Which of the following conditions could arise as a sequelae of periodontal infection?
1. Ischemic heart disease
2. Thrombogenesis
3. Atherosclerosis
4. All of the above

Correct answer: 4. All of the above